The tissue of origin of the Kaposi's sarcoma is?
1. Lymphoid
2. Vascular
3. Neural
4. Muscular

Correct answer: 2. Vascular

Explanation: Ans. is 'b' i.e., VascularKaposi SarcomaKaposi sarcoma is an intermediate grade, multicentric vascular, tumourThe pathogenesis of kaposi sarcoma is complex, fundamentally it is an angioproliferative disease that is not a true neoplastic sarcoma.It is a manifestation of excessive proliferation of spindle cells that are believed to be of vascular origin and have features in common with endothelial and smooth muscle cells.Grossly-Three stages of the disease can be identifiedPatch (1st stage)Plaque (intermediate stage)Nodule (last stage)Histologically-The changes are nonspecific in the early patch stage and more characteristic in the nodular stage which show sheets of plump proliferating spindle cells and endothelial in the dermis or subcutanous tissue.